Poor accessibility is the main disadvantage of _______ flap
1. Trapezoid
2. Envelope
3. Semilunar
4. Any of the above

Correct answer: 3. Semilunar